In nephrotic syndrome the essential feature is :
1. Proteinuria
2. Hypoalbuminemia
3. Hyperlipernia
4. Edema

Correct answer: 1. Proteinuria

Explanation: All the given options occur in nephrotic syndrome, but proteinuria is the most characteristic, which is the basic defect.
The underlying abnormality in nephrotic syndrome is an increase in permeability of the glomerular capillary wall, which leads to massive proteinuria and hypoalbuminemia.